Tripple bubble sign is seen in
1. CHPS
2. Duodenal atresia
3. Jejunal atresia
4. Ileal atresia

Correct answer: 3. Jejunal atresia

Explanation: CHPS - Single bubble sign
Duodenal atresia - Double bubble sign
Jejunal atresia - Triple bubble sign
Ileal atresia - Multiple bubble sign.